Silhouetting of right heart border on chest radiograph indicates the presence of pathology in which of the following structure?
1. Right Upper Lobe
2. Right Middle Lobe
3. Right Lower Lobe
4. Lingula

Correct answer: 2. Right Middle Lobe

Explanation: Silhouette Sign: Lobe Silhouetted structure Right middle lobe Right heart border Left lingula Left heart border Right lower lobe Right hemidiaphragm Left lower lobe Left hemidiaphragm Post apical segment left upper lobe Aortic knob Anterior segment right upper lobe Ascending aorta Figure: Right middle lobe collapse On frontal projection the right heart border is not clearly seen (blue dashed line). On lateral projection the right middle lobe appears as a wedge of increased density (orange arrows).